Which of the following is an autoimmune gastric disease?
1. Type A gastritis
2. Type B gastritis
3. Atrophic gastritis
4. Erosive gastritis

Correct answer: 1. Type A gastritis